Bagassosis is caused by-
1. Free silica
2. Coal
3. Sugar cane
4. Cotton fibre

Correct answer: 3. Sugar cane

Explanation: Ans. is 'c' i.e., Sugarcane * Anthracosis- Coal dust* Silicosis- Silica* Siderosis- Iron* Byssinosis- Cotton dust (textile industry)* Farmer's lung- Hay or grain dust (micropolyspora faeni)* Sequousis- Moldy red wood saw dust* Suberosis- Moldy cork dust* Detergent workers lung- Enzyme additives* Baggassosis- Sugarcane dust (thermoactinomyces sacchari)